The internal thoracic artery is a branch of -
1. Arch of aorta
2. Subclavian artery
3. Superior epigastric artery
4. Thyrocervical trunk

Correct answer: 2. Subclavian artery

Explanation: Ans. is 'b'i.e., Subclavian artery Internal thoracic arteryo It arises from 1st part of subclavian artery and descends through anterior ends of upper six intercostal spaces lying 1[?]25 cm lateral to sternal margin.o It divides into two terminal branches, musculophrenic and superior epigastric in 6th intercostal spaceo Branches of internal thoracic artery are:-i) Mediastinal branchesii) Pericardial branchesiii) Sternal branchesiv) Pericardiophrenic branchesv) Anterior intercostal arteries (in upper six spaces)vi) Perforating branchesvii) Two terminal branches, musculophrenic and superior epigastric.